RPGN occurs in A/E:
1. SLE
2. Post streptococcal glomerulonephritis
3. Diabetic nephropathy
4. Good pastures syndromes

Correct answer: 3. Diabetic nephropathy

Explanation: Answer is C (Diabetic Nephropathy) Diabetic Nephropathy is not associated pith rapidv protTessive Glomerulonephritis (RPGN). Acute post streptococcal GN, SLE and Good pasture's syndrome are all associated with Rapidly progressive Glomerulonephritis.